Gold standard investigation for diagnosis of insulinoma -
1. Blood glucose level less than 30 mg%
2. 72 hrs fasting
3. C peptide levels less than 32 rjm
4. Serum insulin levels

Correct answer: 2. 72 hrs fasting

Explanation: Pathology of pancreatic endocrine tumor (insulinoma). Specialty. Oncology. An insulinoma is a tumor of the pancreas that is derived from beta cells and secretes insulin. It is a rare form of a neuroendocrine tumor The diagnosis of insulinoma is suspected in a patient with symptomatic fasting hypoglycemia. The conditions of Whipple's triad need to be met for the diagnosis of "true hypoglycemia" to be made: symptoms and signs of hypoglycemia, concomitant p 72 hrs fasting blood glucose level of 45 mg/dL (2.5 mmol/L) or less, and reversibility of symptoms with administration of glucose. Ref Davidson edition23rd pg834